Best diagnostic procedure for ant. Cruciate ligament injury is
1. Lachman's test
2. Pivot shift test
3. Anterior drawer test
4. Mc Murray's test

Correct answer: 1. Lachman's test

Explanation: A i.e. Lachman's test